The following features are true for tetralogy of Fallot, except –
1. Ventricular septal defect
2. Right ventricular hypertrophy
3. Atrial septal defect
4. Pulmonary stenosis

Correct answer: 3. Atrial septal defect

Explanation: Tetralogy of Fallot

The classical example of cyanotic patients with pulmonic stenosis is tetralogy of fallot.
TOF is the commonest congenital heart disease.
Constituents of TOF
Ventricular septal defect                       
Pulmonic stenosis          
Overriding or dextroposed aorta    
Right ventricular hypertrophy.